Which drug is recommended for prevention of mother to child transmission of HIV infection?'
1. Didanosine
2. Nevirapine
3. Indinavir
4. Nelfmavir

Correct answer: 2. Nevirapine